True statements is/are - a) Kaposi's sarcoma is caused by HHV-6  b) EBV causes lymphomatous lymphoma  c) Bronchiolitis is caused by RSV  d) Erythema infectiosum have 'slapped cheek' appearance  e) Roseola infantum is caused by parvovirus
1. abc
2. bcd
3. bc
4. ad

Correct answer: 2. bcd